A two months old child presents with epiphora and regurgitation. The most probable diagnosis is:
1. Mucopurulent conjunctivitis
2. Buphthalmos
3. Congenital dacryocystitis
4. Encysted mucocele

Correct answer: 3. Congenital dacryocystitis

Explanation: C i.e. Congenital dacryocystitis Congenital chronic dacryocystitis occurs in infants because of failure of nasolacrimal duct to open into the inferior meatus of the nose, which normally occurs about third week of life. It presents with constant watering (epiphora) of one eye Q and is followed by the regurgitation of the pus through the puncta. Q